Acute flaccid paralysis is reported in a child aged -
1. 0-3 years
2. 0-5 years
3. 0-15
4. 0-25 years

Correct answer: 3. 0-15

Explanation: - one of the strategy for polio eradication in India is improving surveillance capable of detecting all cases of AFP due to prohibit non polio etiology. - AFP surveillance is done in all children below age of 15 years. Reference : Park's textbook of preventive and social medicine, 23rd edition, pg no:208,209